In DNA, Adenine pairs with
1. Guanine
2. Thymine
3. Cytosine
4. Uracil

Correct answer: 2. Thymine

Explanation: Adenine is always paired with thymine by formation of two hydrogen bonds. Guanine is always paired with cytosine by formation of three hydrogen bonds.